The maxillary lateral incisor is smaller than the maxillary central incisor on all aspects EXCEPT which one of the following?
1. Crown length
2. Mesiodistal crown width
3. Faciolingual crown width
4. Root length

Correct answer: 4. Root length